Commonest site of skeletal tuberculosisis:
1. Tibia
2. Radius
3. Humerus
4. Vertebrae

Correct answer: 4. Vertebrae

Explanation: Ans: d (Vertebrae)Ref: Maheshwari Ortho, 3rd ed, p. 169